Microcytic hypochromic anaemia is seen in all except-
1. Beta thalassemia
2. Iron deficiency
3. Malaria
4. Lead poisoning

Correct answer: 3. Malaria